Which is the most common risk factor for RCC?
1. Urinary tract infection
2. Renal calculi
3. Smoking
4. Hypertension

Correct answer: 3. Smoking

Explanation: Ref: Robbins Pathology, 9th ed. pg. 953Robbins states: "Tobacco is the most significant risk factor. Cigarette smokers have double the incidence of renal cell carcinoma".Risk factors for RCC:* MC risk factor: Smoking* Obesity (F > M), Hypertension, asbestos exposure, CKD, tuberous sclerosis* VHL (Von Hippel-Lindau syndrome): Around half to 2/3rd of the patients with VHL develop renal cyst and bilateral RCC.